Difference between descriptive or analytical study and
experimental study is
1. Descriptive study has a small sample
2. Experimental study requires a strong knowledge of statistics by the operator
3. Analytical study requires the use of sophisticated instruments
4. All variables are under the control and can be modified by the operator

Correct answer: 4. All variables are under the control and can be modified by the operator